What is the new name for mental retardation according to DSM - V?
1. Mental handicap
2. Intellectual disability
3. Subnormal intelligence
4. Lunatic person

Correct answer: 2. Intellectual disability

Explanation: Mental retardation is termed as "Intellectual disability" under DSM - V.